Which of the following always indicates obstruction to the airway?
1. Slow pounding pulse
2. Strenuous breathing
3. Increase in pulse rate
4. Decrease in blood pressure

Correct answer: 2. Strenuous breathing